Greenish discolouration at putrefaction is due to?
1. MetHb
2. Sulph-meth Hb
3. Deoxy Hb
4. Carboxy Hb

Correct answer: 2. Sulph-meth Hb

Explanation: Ans. is 'b' i.e., Sulph-meth Hb